In hand injury, first structure to be repaired should be:
1. Skin
2. Nerve
3. Muscle
4. Bone

Correct answer: 4. Bone

Explanation: Ans. (d) BoneRef: Master Techniques in Orthopedic Surgery Series by Moran and Cooney (2008/487)Order of repair in Hand injuries: (Mnemonic- Buy Every First Android Nokia V Series)* Bone* Extensor tendons > Flexor tendons* Artery* Nerve* Vein* Skin